Which of the following is the diagnostic test in pancreatic insufficiency
1. Schilling test
2. Serum lipase
3. Serum amylase
4. Faecal fat estimation

Correct answer: 4. Faecal fat estimation

Explanation: Exocrine pancreatic insufficiency (EPI) is a condition characterized by deficiency of the exocrine pancreatic enzymes, resulting in the inability to digest food properly, or maldigestion How Exocrine Pancreatic Insufficiency Is Diagnosed A fecal fat test involves looking at a stool sample under a microscope. ... Blood tests can measure trypsinogen, the pancreatic enzyme that converts to trypsin Ref Davidson edition23rd pg837